All of the following statements regarding Sturge weber syndrome are true, EXCEPT:
1. Characterised by nevus flammeus
2. Diffuse choroidal hemangioma may be seen in upto 40% of the cases
3. Up to 85% of individuals may suffer from seizure disorder
4. Intellectual disability is seen in only less the 15% of the individuals

Correct answer: 4. Intellectual disability is seen in only less the 15% of the individuals

Explanation: Intellectual disability is seen in 60% cases of Sturge weber syndrome. It is an nonfamilial disease characterised by the presence of nevus flammeus on one side of face. 40% of patients with port wine stain develop choroidal hemangioma. They also develop leptomeningeal angiodysplasia of brain and meninges resulting in seizures (85%), intellectual disability and cerebral atrophy.